Vulvar carcinoma accounts for what percentage of genital tract malignancies?
1. 0.5 - 1%
2. 3 - 5%
3. 7 - 11%
4. 13 - 15%

Correct answer: 2. 3 - 5%

Explanation: Ans. is 'b' i.e.,3 - 5%Vulval CarcinomaIt occurs in 17/100,000 females.It accounts for 3 - 5% of the genital tract malignanciesIt usually occurs in post menopausal females with median age of 60 years.It has increased association with obesity, hypertension, diabetes and multiparity.